Methemoglobinemia can be treated by:
1. Methylene blue
2. Vitamin K
3. Vitamin A
4. All of the above

Correct answer: 1. Methylene blue

Explanation: Hepatic metabolism of prilocaine generates O-toluidine, which oxidizes hemoglobin to methemoglobin. Methemoglobinemia, if severe, may be treated by the intravenous administration of methylene blue Ref: Miller's anesthesia-7th ed, Chapter 30.